A boy with skin ulcer on the leg, culture reveals beta hemolysis. Cultures from school children with a sore throat some days back also revealed beta hemolysis. What is the similarity between both
1. Mec A gene is related to it
2. M protein is same
3. C carbohydrate antigen is same
4. Strains causing both are same

Correct answer: 3. C carbohydrate antigen is same

Explanation: CARBOHYDRATE ANTIGEN: On the basis of the C carbohydrate antigen, S.pyogenes is classified under Lancefield group A. This antigen shows cross-reactivity with some human tissues. This antigen is an integral part of the cell wall, it has to be extracted for grouping by precipitin test with group antisera. Reference: Textbook of Microbiology; Anathanarayan and paniker's; 10th edition; Page no: 212